Submandibular nodes are classified as ?
1. Level IA neck nodes
2. Level IB neck nodes
3. Level II neck nodes
4. Level III neck nodes

Correct answer: 2. Level IB neck nodes

Explanation: Ans. is 'b' i.e., Level 1B neck nodes Division of neck nodes according to levels Level I Submental (IA) Submandibular (IB) Level II Upper jugular Level III Mid jugular Level IV Lower jugular Level V Posterior triangle group (Spinal accessory and transverse cervical chains) Level VI Prelaryngeal Pretracheal Paratracheal Level VII Nodes of upper mediastinum